Ichthyosis linearis circumflexa is the characteristic skin lesion seen in:
1. Netherton syndrome
2. Progeria
3. Lamellar ichthyosis
4. Harlequin ichthyosis

Correct answer: 1. Netherton syndrome

Explanation: Netherton's syndrome (NS) is the most common of the ichthyosiform syndromes. It comprises erythroderma, hair shaft defects and atopic features. These patients develop recurrent crops of erythematous, scaly, migrating lesions with an incomplete double edge of peeling scale called ichthyosis linearis circumflexa. The pathognomonic feature of NS is the hair shaft defect known as trichorrhexis invaginata (TI) or ball and socket defect.